The sampling method used in pathfinder survey is
1. Stratified cluster sampling
2. Simple random sampling
3. Snowball sampling
4. Two stage sampling

Correct answer: 1. Stratified cluster sampling